Provided that one secondary oocyte is produced in each menstrual cycle. How many secondary oocytes are on an average produced during the reproductive life of a human female?
1. 4,20,000
2. 42,000
3. 4200
4. 420

Correct answer: 4. 420

Explanation: ANSWER: (D) 420REF: This is a question of simple mathematical calculationAverage reproductive life is 35 years from puberty to menopause << There are 12 menstrual cycles every yearOne secondary oocyte is produced in each cycleSo the total number of secondary oocytes produced in female will beSec Oocyte = 35 x 12 x 1= 420